The most important radiological sign of splenic rupture is -
1. Obliteration of psoas shadow
2. Obliteration of splenic shadow
3. Indentation of the left side air bubble
4. Fracture of one or more lower ribs on left side

Correct answer: 2. Obliteration of splenic shadow